All the following are non-contraceptive benefits of OC pills except
1. Reduces dysmenorrhea
2. Reduces fibroadenomas
3. Reduces ovarian cancer risk
4. Decreased risk for venous thrombosis

Correct answer: 4. Decreased risk for venous thrombosis

Explanation: Established and Emerging Noncontraceptive Benefits of Oral ContraceptivesEstablished BenefitsMenses-relatedIncreased menstrual cycle regularityReduced blood lossReduced iron-deficiency anemiaReduced dysmenorrheaReduced symptoms of premenstrual dysphoric disorderInhibition of ovulationFewer ovarian cystsFewer ectopic pregnanciesOtherReduced fibroadenomas/fibrocystic breast changesReduced acute pelvic inflammatory diseaseReduced endometrial cancerReduced ovarian cancerEmerging BenefitsIncreased bone massReduced acneReduced colorectal cancerReduced uterine leiomyomataReduced rheumatoid ahritisTreatment of bleeding disordersTreatment of hyperandrogenic anovulationTreatment of endometriosisTreatment of perimenopausal changesWomen who use estrogen-containing hormonal contraceptives are at increased risk for venous thrombosis and thromboembolism. Reference: Novak's gynaecology; 14th edition; Chapter 10; Family planning